The Beta -Oxidation cycle generates:
1. FADH2
2. NADH
3. Both of the above
4. None of the above

Correct answer: 3. Both of the above

Explanation: Several enzymes, known collectively as “fatty acid oxidase”, are found in the mitochondrial matrix or  inner  membrane adjacent to the respiratory chain. These catalyze the oxidation of acyl-CoA to acetyl-CoA via the β-oxidation pathway. The system proceeds in cyclic fashion which results in the degradation of long fatty acids to acetyl CoA. In the process, large quantities of the reducing equivalents FADH2 and NADH are generated and are used to form ATP by oxidative phosphorylation.
HARPERS ILLUSTRATED BIOCHEMISTRY30th ed, Page No:225